Leonine facies is seen in................ leprosy -
1. Tuberculoid
2. Borderline
3. Lepromatous
4. Borderline tuberculoid

Correct answer: 3. Lepromatous

Explanation: Ans. is 'c' i.e., Lepromatous